Factor Xa is necessary for conversion of prothrombin to thrombin in which pathway?
1. Only in the extrinsic pathway
2. Only in the intrinsic pathway
3. As part of both extrinsic and intrinsic pathways
4. Only if the normal blood clotting cascade is inhibited

Correct answer: 3. As part of both extrinsic and intrinsic pathways

Explanation: c. As part of both extrinsic and intrinsic pathways(Ref: Nelson's 20/e p, Ghai 8/e p)Factor Xa is necessary for conversion of prothrombin to thrombin in the common pathway, that means as as part of both extrinsic and intrinsic pathways.